Regarding ACE inhibitor which of the following is true -
1. Inhibits conversion of angiotensinogen to angiotensin 1
2. T1/2 of enalapril is more than lisinopril
3. Omission of prior diuretic dose decreases the risk of postural hypotension
4. It is effective only with left ventricular systolic dysfunction

Correct answer: 3. Omission of prior diuretic dose decreases the risk of postural hypotension

Explanation: Omission of prior diuretic dose decreases the risk of postural hypotension ACE inhibitors ACE inhibitors are drugs which exert their action by inhibiting the conversion of Angiotensin I to Angiotensin II. They inhibit the angio-tensin converting enzyme. Adverse effect of ACE inhibitors Hypotension A steep fall in blood pressure may occur following the first dose of an ACE inhibitor in patients with elevated PRA (plasma renin activity). In this regard, care should be exercised in patients it may be necessary to reduce the dose of diuretics during the initiation of ACE inhibitors to prevent symptomatic hypotension. The doses of ACE inhibitors should be initiated in low doses followed by gradual increment if the lower doses have been well tolerated.